The unilateral sensorineural hearing loss may occur in
1. Coronavirus
2. Pertussis
3. Rotavirus
4. Mumps

Correct answer: 4. Mumps

Explanation: Mumps(epidemic parotitis) may result in a profound sensorineural hearing loss (90 dB or more), unilaterally (one ear) or bilaterally (both ears). Coronavirus and Rotavirus are associated with diarrhoea.